Oral hairy leukoplakia is a feature of
1. White sponge nevus
2. Hairy cell Leukemia
3. Speckled leukoplakia
4. None of the above

Correct answer: 4. None of the above